The following statement about Pilonidal sinus is true
1. More common in females
2. Mostly congentital
3. Prognosis after surgery is poor
4. Treatment of choice is surgical excision of sinus tract

Correct answer: 4. Treatment of choice is surgical excision of sinus tract

Explanation: The term pilonidal sinus describes a condition found in the natal cleft overlying the coccyx, consisting of one or more, usually noninfected, midline openings, which communicate with a fibrous track lined by granulation tissue and containing hair lying loosely within the lumen. A common affliction amongst the military, it has been referred to as 'jeep disease'. Ref: Bailey & Love's Short Practice of Surgery,E25,Page-1247